Massage and the application of liniments to painful area in the body relieves pain due to
1. Stimulation of endogenous analgesic system
2. Release of endorphins by the first order neurons in the brain stem
3. Release of glutamate and substance P in the spinal cord
4. Inhibition by large myelinated afferent fibers

Correct answer: 4. Inhibition by large myelinated afferent fibers

Explanation: Ans. (d) Inhibition by large myelinated afferent fibers(Ref: Ganong, 25th ed/p.172)Massaging and applying counterirritants over the injured area relieves pain. The reason being gate-control mechanism of pain modulation